Paramyxoviruses are most commonly associated with which of the following diseases?
1. Fifth disease
2. Rubella
3. Croup
4. Tonsillitis

Correct answer: 3. Croup

Explanation: Both mumps and measles are well-recognized paramyxovirus infections. This group also includes parainfluenza virus, which causes laryngotracheobronchitis (croup) in children, and respiratory syncytial virus, which can cause bronchiolitis in infants. Paramyxoviruses have glycoprotein spikes that extend their lipid membrane and are responsible for hemagglutination activities.